The adams clasp is made of:
1. 24 mil wire
2. 28 mil wire
3. 23 mil wire
4. 22 mil wire

Correct answer: 2. 28 mil wire